Which is not true regarding Insulinoma :
1. Hypoglycemic attacks
2. Weight loss
3. Usually Solitary tumor
4. Mostly benign tumor

Correct answer: 2. Weight loss

Explanation: Ans. is 'b' ie Weight loss Hypoglycemic attack are part of Whipple's triadInsulinoma is usually solitary tumorOnly 5 to 15% are malignant